Longest phase of meiosis is:
1. Prophase I
2. Prometaphase
3. Metaphase I
4. Anaphase I

Correct answer: 1. Prophase I